Treatment of digoxin over dose includes administration of all of the following except :
1. Potassium
2. Lignocaine
3. Phenyton
4. Hemodialysis

Correct answer: 4. Hemodialysis

Explanation: Answer is D (Hemodialysis) Hemodialysis has no role in treatment of digoxin overdose. Management of digitalis overdose includes: Withdrawl of drug e Potassiume: administer cautiously and by oral route whenever possible if hypokalemia is present. Potassium must not be employed in the presence of A-V block or hyperkalemia Phenyloin//3 blocker or Lidocaine e : Lidocaine is effective in treatment of digitalis induced ventricular tachyarrhythmias. Cardiac pacemaker : may be required in digitalis induced A-V block Electrical conversion : may be life saving in digitalis induced ventricular fibrillation FAB fragments/digitalis antibodies e :are potentially life saving in severe intoxication. Hemodialysis is not useful in poisonings due to: Digoxin Q Kerosene Q Benzodiazepines Q Organophosphates Q